In catatonic schizophrenia which is not found -
1. Waxy flexibility
2. Automatic obedience
3. Somatic passivity
4. Gegenhalten

Correct answer: 3. Somatic passivity

Explanation: Features of catatonic schizophrenia may be:-


Excited catatonia:- It is characterized by increased in psychomotor activity, i.e. restlessness, agitation, excitement, aggressiveness, violence. The impulsive activity occurs in response to hallucination and delusions.
Stuporous (retarded catatonia):- It is characterized by extreme retardation of psychomotor activity. It includes mutism, rigidity, negativism, posturing, stupor, echolalia, echopraxia, catalepsy (waxy flexibility), ambitendency, gegenhalten, stereotypies, stupor, mannerism, Grimacing, automatic obedience.


Option 'c' & 'd' requires specific mention here :-

"Gegenhalten (paratonia) is the classical sign of Pronto parietal disease. It is frequently associated with catatonic schizophrenia".

Gegenhalten is an involuntary resistance to passive movement due to hypertonia.
Somatic passivity :- Bodily sensations, especially sensory symptoms, are experienced as imposed on body by some external force. It is particularly seen in hebephrenic (disorganized) schizophrenia.